Administration of Scoline produces dangerous hyperkalemia in:
1. Paraplegia
2. Fracture Femur
3. Raise intracranial pressure
4. Acute renal failure

Correct answer: 1. Paraplegia

Explanation: Ans. is 'a' i.e. Paraplegia "Hyperkalemia caused by Scoline is insignificant except after -paraplegiaburns &tetanus" Other adverse effect of Scoline :1. Malignant Hyperthermia*2. Muscle Fasciculations*